Ochsner sherren regimen is used for management of:
1. Appendicular mass
2. Appendicular abscess
3. Appendicitis
4. Peritonitis following appendicitis

Correct answer: 1. Appendicular mass

Explanation: Ans. (a) Appendicular massRef: Bailey & Love 26th ed. /1211* The appendix that is acutely inflamed may perforate and later wall off from the peritoneal cavity by omentum and adjacent bowel loop to form a tender, palpable right iliac fossa mass. It is a common surgical pathology which occurs in about 2-6% of patients who presented with acute appendicitis.The initial school of thought regards this condition to be managed conservatively, with the famous one being the Ochsner-Sherren regimen. The idea behind this is that, surgery would be hazardous and increase the mortality rate.* The conservative management of appendicular mass can be summarized by mnemonic "ABCDEF" which is# A: Analgesic, Antibiotic, antipyretic# B: Bed rest# C: Charting (vital sign, size of the mass)# D: Diet (Keep Nil by Mouth)# E: Exploratory laparotomy KIV.# F: Fluid maintenanceThree methods are proposed for management of appendicular mass which are:1. Conservative management2. Interval appendectomy3. Early surgical intervention. The selection of methods depends on surgeon preference and patients condition.